The mechanism involved in the absorption of glucose from the small intestine is
1. Passive diffusion
2. Facilitated diffusion
3. Secondary active cotransport with sodium
4. Actively by insulin dependent uptake

Correct answer: 3. Secondary active cotransport with sodium

Explanation: Hexoses are rapidly absorbed across the wall of the small intestine. Essentially all the hexoses are removed before the remains of a meal reach the terminal part of the ileum. The sugar molecules pass from the mucosal cells to the blood in the capillaries draining into the portal vein. The transport of most hexoses is dependent on Na+ in the intestinal lumen; a high concentration of Na+ in the mucosal surface of the cells facilitates and a low concentration inhibits sugar influx into the epithelial cells. This is because glucose and Na+share the same cotransporter,or symport,the sodium-dependent glucose transporter (SGLT, Na+glucose cotransporter) The members of this family of transporters, SGLT 1 and SGLT 2, resemble the glucose transporters responsible for facilitated diffusion.in that they cross the cell membrane 12 times and have their -COOH and -NH2 terminals on the cytoplasmic side of the membrane. However, there is no homology to the glucose transporter (GLUT) series of transporters. SGLT-1 is responsible for uptake of dietary glucose from the gut. The related transporter, SGLT 2, is responsible for glucose transport out of the renal tubules. Because the intracellular Na+concentration is low in intestinal cells as it is in other cells, Na+moves into the cell along its concentration gradient. Glucose moves with the Na+ and is released in the cell. The Na+is transported into the lateral intercellular spaces, and the glucose is transported by GLUT 2 into the interstitium and thence to the capillaries. Thus, glucose transport is an example of secondary active transport, the energy for glucose transport is provided indirectly, by the active transport of Na+ out of the cell. This maintains the concentration gradient across the luminal border of the cell so that more Na+and consequently more glucose enter. When the Na+glucose cotransporter is congenitally defective, the resulting glucose/galactose malabsorption causes severe diarrhea that is often fatal if glucose and galactose are not promptly removed from the diet.REF: GANONG'S REVIEW OF MEDICAL PHYSIOLOGY, KIM BARRETT, HEDDWEN BROOKS, SCOTT BOITANO, SUSAN BARMANTWENTY THIRD EDITIONPAGE NO:453